Superior rib notching is not associated with which of the enlisted conditions?
1. Hyperparathyroidism
2. Marfan syndrome
3. Blalock-Taussig shunt
4. Systemic lupus erythematosis

Correct answer: 3. Blalock-Taussig shunt